Most common complication of chickenpox in children:
1. Encephalitis
2. Secondary bacterial infection
3. Pneumonia
4. Otitis media

Correct answer: 2. Secondary bacterial infection

Explanation: b. Secondary bacterial infection(Ref: Nelson's 20/e p 1579-1585> Ghai 8/e p 214-215)Secondary bacterial infections of skin, by group A Streptococcus & S. aureus, may occur in children with varicella.